Which of the following is most likely to be acquired by traumatic inoculation?
1. Blastomyces dermatitidis
2. Sporothrix schenkii
3. Coccidioides immitis
4. Paracoccidiodes brasiliensis

Correct answer: 2. Sporothrix schenkii

Explanation: All dimorphic fungi are acquired the respiratory route exceptSporothrixschenkiiwhich is acquired in majority bytraumatic inoculation of conidia. Sporotrichosis- Caused by Sporothrixschenkii (dimorphic fungus) akaRose gardeners disease Most cases are acquired cutaneous inoculation or walking bare foot. M/c seen in farmers, spread by thorn prick. Is a chronic mycotic disease that typically involves skin,subcutaneous tissue and regional lymphatics. Enlarged lymphnodes extending centripetally as a beaded chain are a characteristic finding Yeast form shows broad based budding or cigar shape Mould form shows flower like sporulation